The nerve piercing sphenomandibular ligament is
1. Superior alveolar nerve
2. Inferior alveolar nerve
3. Nerve to mylohyoid
4. Lingual nerve

Correct answer: 3. Nerve to mylohyoid

Explanation: Nerve to mylohyoid pierces sphenomandibular ligament.